Which premolar resembles a canine:
1. Maxillary first premolar.
2. Mandibular first premolar.
3. Maxillary second premolar.
4. Mandibular second premolar.

Correct answer: 2. Mandibular first premolar.